Which is the MOST common type of finger impression?
1. Arch
2. Whorl
3. Loop
4. Composite

Correct answer: 3. Loop

Explanation: Among the four types of fingerprints loop pattern is the most common type which occur in 65% of cases. There are two loop patterns they are radial loop and ulnar loop. Whorl pattern is the second most common type occurring in 25%, arch type occur in 7% and the least common pattern is composite which occur in 2-3%. Dactylography is a study of fingerprints in which impressions of the papillary ridges and and furrows of the fingertips are taken. Its considered to be the surest sign of identification because the pattern, distribution, arrangement and character of the ridges are absolutely individualistic and are present from birth and remain unaltered throughout life. Ridge pattern develops in 16th week of intrauterine life and maximum development is attained at 18-25 week of intrauterine life. Ref: Forensic Medicine And Toxicology (oral, Practical & Mcq) By R. N. Karmakar page 129